1st evidence of calcification of Mandibular 2nd molar is seen in
1. At birth
2. 1 ½ year
3. 9 months after birth
4. 2 ½- 3 year

Correct answer: 4. 2 ½- 3 year